During sexual differentiation in males:
1. Leydig cells produce Mullerian Inhibiting Substance
2. Primitive Gonads differentiate into testis due to the presence of SRY gene
3. Androgen binding protein is responsible for the development of male external Genitalia
4. Wolffian duct regresses

Correct answer: 2. Primitive Gonads differentiate into testis due to the presence of SRY gene

Explanation: Ans. is b, i.e. Primitive Gonads differentiate into testis due to the presence of SRY geneRef: Dutta Gynae 5th/ed, p420, 6th/ed, p439; Williams Gynae 1st/ed, p403-404; Harrison 17th/ed, p2339-2340In malesIn males --masculinization of external genitals begin at 9-10 weeks and is completed by 12-14 weeks of gestation.* Thereafter the only change is in the growth and length of penis.* Since in males, mainly masculinization is due to testosterone/dihydrotestosterone, therefore if it is deficient it will lead to under masculinization of external genitalia, i.e. males will have small phallus, hypospadias or scrotal defect, i.e. ambiguous genitalia.